Which of the following is true about splenic artery ?
1. Smaller than left gastric artery
2. Gives short gastric arteries along the fundus
3. Curves around the fundus
4. Arises from abdominal aorta

Correct answer: 2. Gives short gastric arteries along the fundus

Explanation: Splenic artery branches from the celiac artery and follows a course superior to pancreas. Splenic artery gives off branches to the stomach and pancreas before reaching the spleen. Short gastric artery is through the upper part of greater curvature of stomach and fundus of the stomach. Some other branches are: Branch to the pancreas,Left gastro epiploic, Posterior gastric. Ref - BDC vol2 pg296